Salt losing nephritis is a feature of :
1. Interstitial nephritis
2. Renal Amyloidosis
3. Lupus nephritis
4. Post Streptococcal Glomerulonephritis

Correct answer: 1. Interstitial nephritis

Explanation: Answer is A (Interstitial Nephritis) In interstitial nephritis there occurs damage to distal tubules, which results in impaired sodium reabsorption and hence the so called 'salt wasting'. Tubulointerstitial nephritis? This is a group of renal disease characterized by predominant involvement of the tubules and interstitium which leads to defect in the ability of the kidney to concentrate urine.